Number of inpatient beds in PHC ?
1. 6
2. 10
3. 20
4. 25

Correct answer: 1. 6

Explanation: PHC → 6 beds
CHC → 30 beds